The term epitope refers to
1. Complete antigen molecule
2. Hapten
3. Immunogen
4. Smallest antigenic determinant

Correct answer: 4. Smallest antigenic determinant